Calcification of the aortic valve is seen in -
1. Aortic stenosis
2. Aortic regurgitation
3. Marfan's syndrome
4. Hurler's syndrome

Correct answer: 1. Aortic stenosis